In beta-oxidation of fatty acids carnitine is required for
1. Conversion of short chain fatty acids to long chain fatty acids
2. Transport of long chain fatty acid to mitochondrial inner layer
3. Transport of long chain fatty acid to cytoplasm
4. Conversion of long chain fatty acids to short chain fatty acids

Correct answer: 2. Transport of long chain fatty acid to mitochondrial inner layer

Explanation: Role of Carnitine Fatty acids are activated in the cytoplasm, but the beta-oxidation is in mitochondria. So transport of fatty acids through the mitochondrial membrane is essential. The long chain fatty acyl CoA cannot pass through the inner mitochondrial membrane. Therefore a transporter, carnitine is involved in transfer of fatty acids. Carnitine is beta-hydroxy- gamma-trimethyl ammonium butyrate, (CH3)3-N+-CH2-CHOH-CH2-COOH. It is synthesised from lysine and methionine in liver and kidney. Carnitine Acyl Transferase The enzyme carnitine acyl transferase-I (CAT-I) will transfer the fatty acyl group to the hydroxyl group of carnitine to form acyl carnitine The reaction occurs on the cytosolic side of inner mitochondrial membrane. : Translocase A protein translocase will carry the acylcarnitine across the membrane to the matrix of mitochondria. On the matrix side of the membrane, another enzyme, carnitine acyl transferase-II (CAT-II) will transfer the acyl group back to coenzyme A molecule. Carnitine is returned to the cytosolic side by the translocase.Ref: DM Vasudevan - Textbook of Biochemistry, 8th edition, page no: 131